Bilateral recurrent laryngeal nerve palsy is seen in -
1. Thyroidectomy
2. Carcinoma thyroid
3. Cancer cervical oesophagus
4. All of the above

Correct answer: 4. All of the above

Explanation: Causes of bilateral recurrent laryngeal nerve palsy are: 

Idiopathic
Post thyroid surgery
Thyroid malignancy
Carcinoma of cervical part of esophagus
Cervical Lymphadenopathy.

NOTE:
Peripheral neuritis causes high vagal palsy which leads to both superior as well as recurrent laryngeal nerve palsy i.e. bilateral complete palsy.